Transovarian transmission is seen in which infection -
1. Plague
2. Filarial
3. Guinea
4. Rocky Mountain spotted fever

Correct answer: 4. Rocky Mountain spotted fever

Explanation: Transovarial transmission is done by Ticks. Tick born disease above is RMSF caused by Rickettsia rickettsii REF: PARK'S TEXTBOOK OF PREVENTIVE AND SOCIAL MEDICINE, 25TH EDITION, PG NO. 840